In a case of hanging neck ligature marks are example of
1. Contussion
2. Printed abrasion
3. Laceration
4. Bruise

Correct answer: 2. Printed abrasion

Explanation: B i.e. Printed abrasion